K - complex and sleep spindles are seen in which stage of sleep
1. REM
2. Stage 1 NREM
3. Stage 2 NREM
4. Stage 3 NREM

Correct answer: 3. Stage 2 NREM

Explanation: Ans. (c) Stage 2 NREM(Ref: Ganong, 25th ed/p.273)Stage 2 NREMWaves with frequency 12-14Hz called sleep spindles seenhigh voltage biphasic waves called K complexes also seen